Which of the following contract together with stapes to stiffen the ossicular chain and protect the inner ear from noise damage?
1. Scala media
2. Tensor tympani
3. Scala vestibuli
4. Semicircular canal

Correct answer: 2. Tensor tympani

Explanation: Stapedius and tensor tympani muscles contract through a neural reflex arc mediated by loud sounds (>80 dB). They act to stiffen the ossicular chain and protect the inner ear from noise damage, particularly at low frequencies. In contrast, cholesteatoma formation in the middle ear can contact the ossicular chain, increasing the total mass, causing a predominantly high-frequency conductive hearing loss.